Reversible methods of contraception are :
1. Barrier
2. OCP
3. IUCD
4. All

Correct answer: 4. All

Explanation: Ans. is a, b, c i.e. OCP; IUCD; Barrier; and Depot injection Methods of contraception (can be classified as) Temporary methods Permanent methods (used to postpone pregnancy or space births) (Surgical methods are to purposefully and permanently Barrier methoddeg destroy the Reproductive capacity of an individual) Natural contraceptiondeg 1 Oral contraceptive pills Injectables Female Male Implants .1. Devices like IUCD's Tubectomy Vasectomy Levonorgestrel IUCD's